Micronodular cirrhosis is seen in all, except -
1. Aloholic cirrhosis
2. Wilson's disease
3. Budd Chiari syndrome
4. Indian childhood cirrhosis

Correct answer: 2. Wilson's disease

Explanation: In wilson's disease the liver shows varying grades of changes that include fatty change, acute and chronic active hepatitis, submassive liver necrosis and macronodular cirrhosis. TEXTBOOK OF PATHOLOGY 6TH EDITION HARSH MOHAN PAGE NO:628